All are true regarding Menetrier's disease, EXCEPT:
1. Protein loss
2. Exophytic growth
3. Hypertrophy of gastric mucosa
4. Premalignant condition

Correct answer: 2. Exophytic growth

Explanation: Answer is B (Exophytic growth) Menetrier's disease is characterized hr hypertrophy of gastric mucosa and not hr exoph;'tic growth. Menetrier's disease Menetrier's disease is a relatively rare disorder of the stomach characterized by lar e tortuous mucosal folds Etiology * Etiology is unknown * Over expression of growth factors such as TGF are suggested Pathology Gross * Marked Hypertrophy of gastric folds/Rugaee * Hypertrophy results from hyperplasia of mucus producing cells (mucosa)Q * Hypertrophy is most prominent in the body and fundus deg Histological/microscopic * Massive foveolar hyperplasia (Hyperplasia of surface and glandular mucosal cells). * Pits of gastric glands elongate and may become tortuous * Lamina propria may contain a mild chronic inflammatory infiltrate (Note: Although lamina propria may contain an inflammatory infiltrates, Menetrier's disease is not considered a form of gastritis Clinical picture * Protein losing enteropathy is characteristic Excessive protein is lost from the thickened mucosa into the gut which results in hypoprotenemia and edema * Gastric acid secretion is usually reduced or absent This happens because mucosal cell hyperplasia replaces most of the parietal cells. * Epigastric pain accompanied by nausea, vomiting anorexia and weight loss Overt bleeding is unusual but occult gastrointestinal bleeding may occur Differential Diagnosis DD includes conditions that may present with large gastric folds: ZES Malignancy Infiltrative disorders eg sarcoidosis Infectious etiology (CMV, Histoplasmosis, syphilis) Prognosis These is an increased risk of adenocarcinoma of stomach in adults with menetrier's disease (CSDT)